Branches of external carotid artery are all except:
1. Maxillary artery
2. Ascending pharyngeal artery
3. Superior thyroid artery
4. Ophthalmic artery

Correct answer: 4. Ophthalmic artery

Explanation: Ophthalmic artery is the branch of cerebral part of internal carotid artery